Muscle affected in congenital torticollis is:
1. Trapezius
2. Rhomboideus Major
3. Rhomboideus Minor
4. Sternocleidomastoid

Correct answer: 4. Sternocleidomastoid

Explanation: Ans. D. SternocleidomastoidCongenital Torticollisa. Torticollis: Non-specific term used to describe tilting of the head and neckb. Congenital muscular torticollis is caused by contracture of the sternocleidomastoid muscle which cause head to tilt toward the affected side, with chin rotating towards opposite sidec. Congenital or infantile torticollis primarily affects females aged 6 months to 3 yearsd. Underlying cause: Unilateral contraction of the SCM muscle caused by ischemic changes in the muscle-